A child was diagnosed as a case of pauci-immune crescentic glomerulonephritis. The treatment to be given in this child is -
1. Prednisolone + Cyclophosphamide
2. Methylprednisolone
3. Cyclophosphamide
4. Immunoglobins

Correct answer: 1. Prednisolone + Cyclophosphamide

Explanation: Ans. is 'a' i.e., Prednisolone + cyclophosphamide Pauci-immune glomerulonephritis o Pauci-immune glomerulonephritis is defined as the lack of anti-GBM antibodies or immune complex. It is a type of rapidly progressive glomerulonephritis. o Causes are :- Idiopathic renal-limited crescentic glomerulonephritis (ANCA associated). Microscopic polyangitis Microscopic PAN Wegner granulomatosis It is treated aggressively with glucocorticoids with or without cyclophosphamide or azathioprine.